True about stomach carcinoma -a) Weightloss is commonest featureb) Secondaries are most commonly seen in peritoneum & omentumc) Lymphatic & hematogenous spread are rared) Barium meal is diagnostice) Radioresistant
1. a
2. ae
3. ab
4. ad

Correct answer: 2. ae